All of the following are true in a randomized control trial (RCT) except -
1. Baseline characteristics of intervention and control groups should be similar
2. Investigator's bias is minimized by double blinding
3. The sample size required depends on the hypothesis
4. The drop-outs from the trial should be excluded from the analysis

Correct answer: 4. The drop-outs from the trial should be excluded from the analysis